Medium chain fatty acids
1. Require pancreatic lipase for digestion
2. Absorbed through lymphatics
3. Also digested in stomach
4. Require bile salts for absorption and digestion

Correct answer: 3. Also digested in stomach

Explanation: Ref: Textbook of Medical Biochemistry 8th Edition Dr (Brig) MN Chatterjea, Rana Shinde page no: 392-396